The uptake of glucose by the liver increases following a carbohydrate meal because
1. There is increase in phosphorylation of glucose by glucokinase
2. GLUT-2 is stimulated by insulin
3. Glucokinase has a low Km for glucose.
4. Hexokinase in liver has a high affinity for glucose

Correct answer: 1. There is increase in phosphorylation of glucose by glucokinase